Incisional wound on genital is seen commonly in -
1. Accidents
2. Suicides
3. Homicides
4. Postmortem Artifact

Correct answer: 3. Homicides

Explanation: The synopsis of forensic medicine & toxicology ; Dr k.s narayan reddy ; 28th edition ; Pg.no 113 ; Incised wounds on nose ,ear ,genitals are usually homicidal & are inflicted on account of jealousy or revenge ( in case of adultery ) causing disfiguration.